According to CDC recommendations, HIV screening of pregnant women is -
1. Opt in testing
2. Opt out testing
3. Compulsory
4. Symptomatic

Correct answer: 2. Opt out testing

Explanation: Ans. is 'b' i.e., Opt out testing